Replacement resorption is characterized by:
1. Lamina dura is lost
2. Moth eaten appearance
3. Metallic sound on percussion
4. All of the above

Correct answer: 4. All of the above

Explanation: Complications
When a tooth is avulsed, the attachment apparatus of the tooth is damaged and blood vessels at the apex are severed. If the cemental layer is intact, it acts as a physical barrier that prevents the toxins from the pulp from reaching the periodontal ligament. After avulsion, if the protective cemental layer is damaged, the insulating quality is lost. If the pulp becomes infected, the toxins can now pass through the dentinal tubules and stimulate inflammatory root resorption. The denuded root surface is resorbed by multi-nucleated giant cells and is continued until the stimulus is removed. Radiographically, inflammatory resorption is observed as progressive radiolucent areas. 
On the other hand, ankylosis can occur. Ankylosis is termed as replacement resorption. Radiographically, a traceable lamina dura is lost and a moth-eaten appearance results. Clinically, lack of mobility and metallic sound to percussion of the tooth is pathognomonic.